Precancerous condition of Ca stomach is ?
1. Peptic ulcer
2. Chronic gastric atrophy
3. Achalasia cardia
4. Curling's ulcer

Correct answer: 2. Chronic gastric atrophy

Explanation: Answer 'b' i.e. Chronic gastric atrophy